Which of the following assays are used to estimate amount of glycated Hemoglobin?
1. HPLC
2. Immunoassay
3. Affinity chromatography
4. All of the above

Correct answer: 4. All of the above

Explanation: All the 3 assays can be used to estimate amount of glycated hemoglobin.
Normal level of HbA1C is < 5.5%.
High performance liquid chromatography employs cation exchange chromatography.